International disease surveillance includes
1. Hepatitis
2. Polio
3. TB
4. Leprosy

Correct answer: 2. Polio

Explanation: Diseases under WHO surveillance Polio Rabies Relapsing fever Influenza Salmonella Malaria Louse born typhus Ref : Park's Textbook of Preventive and Social Medicine; 24th edition